Intracellular receptors are found in all except
1. Insulin
2. Corticosteroids
3. Androgen
4. Thyroxine

Correct answer: 1. Insulin